Replacement of columnar epithelium in respiratory tract to squamous epithelium is -
1. Hyperplasia
2. Hypoplasia
3. None of the above
4. Metaplasia

Correct answer: 4. Metaplasia

Explanation: Metaplasia
o Metaplasia is a reversible change in which one differenated cell type is replaced by another differenated cell type.
o Metaplasia represents an adapve substuon of cells that are sensive to stress by cell types beer able to withstand the adverse environment,
o Metaplasia may be of two types